Which among the following is a depolarizing muscle relaxant
1. Decamethonium
2. D tubocurarine
3. Doxacurium
4. Atracurium

Correct answer: 1. Decamethonium

Explanation: (Refer: Morgan and Mikhail's Clinical Anaesthesiology, 5th edition, pg no.219)